The following drug interferes with translocation of protein synthesis :
1. Erythromycin
2. Tetracycline
3. Chloramphenicol
4. Penicillins

Correct answer: 1. Erythromycin